Safe period is calculated by
1. Length of menstrual cycle
2. Duration Date of ovulation
3. Length of ovulation
4. Length of luteal phase

Correct answer: 1. Length of menstrual cycle

Explanation: The safe period is calculated by the length of menstrual cycle The shortest cycle minus 18 days gives the first day of fertile period and longest cycle minus 10 days gives the last day of the fertile period The couple should abstain from coitus during fertile period Reference : Park's textbook of preventive and social medicine, 23rd edition, Page no: 507